Carnitine helps in
1. Transport of fatty acids from mitochandria to cytosol
2. Transport of fatty acids from cytosol to mitochandria
3. Transport of pyruvate into mitochandria
4. Transport of Malate in Malate shuttle

Correct answer: 2. Transport of fatty acids from cytosol to mitochandria

Explanation: Fatty acids are activated in the cytoplasm, but the beta-oxidation is in mitochondria. So transport of fatty acids through the mitochondrial membrane is essential. The long chain fatty acyl CoA cannot pass through the inner mitochondrial membrane. Therefore a transporter, carnitine is involved in transfer of fatty acids. Carnitine is beta-hydroxygamma- trimethyl ammonium butyrate,Ref: DM Vasudevan - Textbook of Biochemistry, 6th edition, page no: 131